Iron absorption is inhibited by all except:
1. Vitamin C
2. Phytates
3. Caffeine
4. Milk

Correct answer: 1. Vitamin C

Explanation: Ans. A. Vitamin C(Ref: Harper 31/e page 533-540)Iron absorption is enhanced by:Vitamin C, Fructose, Alcohol iron absorption is inhibited byPhytates, Oxalates, Caffeine, Calcium